All of the following features are seen in viral pneumonia except
1. Presence of interstitial inflammation
2. Predominance of alveolar exudates
3. Bronchiolitis
4. Multinucleate giant cells in the bronchiolar wall

Correct answer: 2. Predominance of alveolar exudates